All the following are maternal adverse outcomes which are increased in women with threatened abortion except:
1. Placenta previa
2. Placental abruption
3. Manual removal of placenta
4. Gestational diabetes

Correct answer: 4. Gestational diabetes

Explanation: Adverse Outcomes That are Increased in Women with Threatened AboionMaternalPerinatalPlacenta prePPROM & PROM Placental abruptionPreterm bihManual removal of placentaLow birth weightCesarean deliveryFetal growth restrictionFetal and neonatal feath(Ref: William's Obstetrics; 25th edition)